Operation theatre fire is most commonly due to:-
1. Argon beam coagulation
2. Lasers
3. Fibre optic illumination
4. Electrosurgical equipment

Correct answer: 4. Electrosurgical equipment

Explanation: ECRI's analysis of case reports show that the most common ignition sources are electrosurgical instruments (68%) & lasers(13%). Most common fire location is airway(35%), head or face(28%), & elsewhere on or inside the patient (38%). An oxygen enriched atmostphere was a contribution factor in (74%) of all cases.